Case control study - estimate -
1. Only odd's ratio
2. Odds ratio and attributable risk
3. Relative risk, attributable risk, population attributable risk
4. Incidence, Relative risk, and attributable risk

Correct answer: 1. Only odd's ratio